Control of TB and leprosy is by:
1. Isolation of case
2. Specific protection
3. Early diagnosis and treatment
4. Elimination of reservoirs

Correct answer: 3. Early diagnosis and treatment

Explanation: Ans is 'c' i.e, Early diagnosis and treatment